Rotavirus vaccine - contraindication is -
1. SCID
2. Intussusception
3. Severe allergic reaction
4. All of the above

Correct answer: 4. All of the above

Explanation: Ans. is 'd' i.e., Ail of the above VaccineContraindications!PrecautionslRotavirus(RV5 ,RV1 )o Severe allergic reaction (e.g., anaphylaxis) after a previous dose or to a vaccine componento Severe combined immunodeficiency (SCID)o History of intussusceptiono Moderate or severe acute illness with or without fevero Altered immunocompetence other than SCIDo Chronic gastrointestinal diseaseo Spina bijida or bladder exstrophy